Saccharolytic species of clostridia -
1. Cl. tetani
2. Cl. cochlearum
3. Cl. septicum
4. None

Correct answer: 3. Cl. septicum